All of the following conditions predispose to thrombosis except:
1. Paroxysmal nocturnal hemoglobinuria
2. Homocystinurea
3. Hypomagnesemia
4. Behcets syndrome

Correct answer: 3. Hypomagnesemia

Explanation: Answer is C (Hypomagnesemia): All conditions other than hypmagnesemia are known predisposing causes of thrombosis.